Which of the following anticancer drug can result in "disulfiram reaction"
1. Lomustine
2. L-Asparginase
3. Procarbazine
4. Busulfan

Correct answer: 3. Procarbazine

Explanation: Procarbazine is a type of alkylating agent which can result in "Disulfiram reaction". Other side effects include cheese reaction, serotonin syndrome, behavioral and personality changes.